All are true about serous cystadenoma of the ovary except :
1. Bilateral
2. Unilateral
3. Concentric calcification
4. Multiloculated, sticky, gelatinous fluid

Correct answer: 4. Multiloculated, sticky, gelatinous fluid

Explanation: Ans. is d i.e. Multiloculated, sticky, gelatinous fluid Serous cystadenoma Most common of cystic neoplasms. 50% of all ovarian tumors, of these 60% are benign, 15% are borderline, 25% of malignant. Occur in 3rd,4'" and 5'h decade of life. Half cases are bilateral (option "a" and ''b" are true). Delicate papillary excrescences may be seen on the surface and within the loculi of a benign cyst. Histologically - the benign variety shows cystic spaces and the lining of the tumor consists of tall columnar ciliated epithelium resembling the endosalpinx. The loculi contain a serous straw coloured fluid. which may be blood stained when malignant transformation occurs. Option "d" (Dutta Gynae, 4/e, p 274) Mucinous tumors have glistening surface and cut surface shows loculi filled with mucinous material. The Content is thick, viscid, and mucin. The cyst is frequently multiloculated.